A 27-year-old male painter is admitted to the hospital after falling from a ladder. Physical examination reveals that the patient is unable to abduct his arm more than 15deg and cannot rotate the arm laterally. A radiographic examination reveals an oblique fracture of the humerus. He has associated sensory loss over the shoulder area. Which of the following injuries will most likely correspond to the symptoms of the physical examination?
1. Fracture of the medial epicondyle
2. Fracture of the glenoid fossa
3. Fracture of the surgical neck of the humerus
4. Fracture of the anatomic neck of the humerus

Correct answer: 3. Fracture of the surgical neck of the humerus

Explanation: Fracture of the surgical neck of the humerus often injures the axillary nerve, which innervates the deltoid and teres minor muscles. Abduction of the humerus between 15deg and the horizontal is performed by the deltoid muscle. Lateral rotation of the humerus is mainly performed by the deltoid muscle, teres minor, and the infraspinatus. The deltoid and teres minor are both lost in this case. Fracture of the glenoid fossa would lead to drooping of the shoulder. Fracture of the anatomic neck of the humerus will similarly lead to a drooping of the shoulder but would not necessarily affect abduction of the humerus. It is also quite unusual. Fracture of the middle third of the humerus would most likely injure the radial nerve. The ulnar nerve would be potentially compromised in a fracture of the medial epicondyle of the humerus.